Which one of the following is direct thrombin inhibitor:
1. Enoxaparin
2. Dalteparin
3. Fondaparinux
4. Argatroban

Correct answer: 4. Argatroban

Explanation: Argatroban